Acoustic schwannoma- most common site is:
1. CP angle
2. Fossa of Rosenmuller
3. Retropharyngeal space
4. None

Correct answer: 1. CP angle

Explanation: Acoustic neuromas (vestibular schwannomas) are benign Schwann cell tumors that typically arise from the vestibular portion of the eighth cranial nerve. The acoustic neuroma is the most common tumor of the cerebellopontine angle.